Mercapton groups are seen in
1. Polysulphide
2. Addition silicone
3. Condensation silicone
4. Polyether

Correct answer: 1. Polysulphide